Macroscopic manifestation of Dalen-Fuchs nodules are seen in the following condition:
1. Sympathetic ophthalmia
2. Phthisis bulbi
3. Absolute glaucoma
4. Pseudoxanthoma elasticum

Correct answer: 1. Sympathetic ophthalmia

Explanation: Sympathetic ophthalmia is an inflammation in the second eye after the other has been damaged by penetrating injury. Histologic sections of the traumatized eye from a patient with sympathetic ophthalmia may show uniform infiltration of most of the uvea by lymphocytes, epithelioid cells, and giant cells. The overlying retina is characteristically intact, but nests of epithelioid cells may protrude through the pigment epithelium of the retina, giving rise to Dalen-Fuchs nodules. The inflammation may destroy the architecture of the entire uvea, leaving an atrophic, shrunken globe. Ref: Chan T.Y., Hodge W.G. (2011). Chapter 16. Immunologic Diseases of the Eye. In P. Riordan-Eva, E.T. Cunningham, Jr. (Eds), Vaughan & Asbury's General Ophthalmology, 18e.